Interpretation of dreams by Freud -
1. 1990
2. 1900
3. 1956
4. 1919

Correct answer: 2. 1900

Explanation: Freud advanced the 'topographic theory of mind' in the year 1900 in the book "the interpretation of dreams".